Which of the following drug does NOT cause Gynaecomastia?
1. INH
2. Cimetidine
3. Digitalis
4. Pyrazinamide

Correct answer: 4. Pyrazinamide

Explanation: Pyrazinamide is not known to cause gynecomastia. Adverse effects associated with its use are hepatic damage, hyperuricemia, nausea, vomiting, arthralgia, dysuria, malaise and fever. Some drugs cause gynecomastia by 1) synergetic action with estrogen due to intrinsic estrogen like properties of the drug 2) the production of increased endogenous estrogen and 3) by providing excess supply of estrogen precursor that can be aromatized to estrogen. Drugs causing Gynecomastia includes: Estrogen Spironolactone Cimetidine Digitalis Phenothiazines TCA Methyldopa Reserpine Isoniazid Ref: Male Reproductive Dysfunction: Pathophysiology and Treatment edited by Fouad R. Kandeel page 523. NMS Medicine edited by Susan Wolfstha page 473. Gumbo T. (2011). Chapter 56. Chemotherapy of Tuberculosis,Mycobacterium Avium Complex Disease, and Leprosy. In B.C. Knollmann (Ed), Goodman & Gilman's The Pharmacological Basis of Therapeutics, 12e.